Incubation period for bacillus cereus -a) 1-6 hrsb) 8-16 hrsc) 24hrsd) > 24 hrs
1. ac
2. bc
3. ad
4. ab

Correct answer: 4. ab